Which enzyme is irreversibly inhibited by aspirin?
1. Lipooxygenase
2. Cyclooxygenase
3. Thromboxane synthase
4. Phospholipase

Correct answer: 2. Cyclooxygenase

Explanation: Ans. is 'b' i.e., Cyclooxygenase